A male aged 60 years has foul breath. He regurgitates food that is eaten 3 days ago : Likely diagnosis is -
1. Zenkers diverticulum
2. Meckels diverticulum
3. Scleroderma
4. Achalasia cardia

Correct answer: 1. Zenkers diverticulum